Zidovudine and didanosine used in HAART act by:
1. Inhibitory effects on viral
2. DNA Nucleoside reverse transcriptase inhibition
3. Inhibit the synthesis of gp41
4. Protease inhibition

Correct answer: 2. DNA Nucleoside reverse transcriptase inhibition

Explanation: Understanding the biology of HIV infection and availability of several potent drugs belonging to different classes has mandated 'highly active antiretroviral therapy' (HAART) with combination of 3 or more drugs whenever indicated. Monotherapy is contraindicated. Zidovudine :It is a thymidine analogue (azidothymidine, AZT), the prototype NRTI. After phosphorylation in the host cell-zidovudine triphosphate selectively inhibits viral reverse transcriptase (RNA-dependent DNA polymerase) in preference to cellular DNA polymerase. Didanosine (ddl): It is a purine nucleoside analogue which after intracellular conversion to didanosine triphosphate competes with ATP for incorporation in viral DNA, inhibits HIV reverse transcriptase and terminates proviral DNA. Antiretroviral activity of didanosine is equivalent to AZT ESSENTIALS OF MEDICAL PHARMACOLOGY K.D.TRIPATHI SIXTH EDITION PAGE NO:770,771